Characterstic of acute rheumatic fever-
1. Endocarditis
2. Mycocarditis
3. Pericarditis
4. Pancarditis

Correct answer: 4. Pancarditis

Explanation: Ans. is 'd' i.e., Pancarditis